Schober's sign is used to evaluate
1. Flextion of lumbar spine
2. Chest expansion
3. Pain with motion of hip
4. Neck pain and stiffness

Correct answer: 1. Flextion of lumbar spine

Explanation: Ans. is 'a' i.e., Flexion of lumbar spine Schober's test is used for the assessment of patients with ankylosing spondylitis. It is performed as follows :? Mark two points 10 cm above and 5 cm below a line joining the dimple of venus on the sacral promontory (the line passing along L5 and dimple indicates the site of posterior superior iliac spine). Ask the patient to bend forward as for as possible. Now measure the distance between upper and lower markings. Normally it in erases by > 5 cm below 50yrs of age If <5cm indicates limitation of the mobility of spine.